Gerstmann's Syndrome includes all except
1. Acalculia
2. Finger anomia
3. Aphasia
4. Right-left confusion.

Correct answer: 3. Aphasia

Explanation: Gerstmann tetrad comprises of acalculia, alexia, finger anomia and right-left confusion. Pure Gerstmann syndrome is without aphasia.Harrison 19th edition pg : 2573